What is nerve supply of stapedius?
1. Facial nerve
2. Trigeminal nerve
3. Glossopharyngeal nerve
4. Abducens

Correct answer: 1. Facial nerve

Explanation: Ans. is 'a' i.e., Facial nerve Tympanic cavity has two muscles :MuscleOriginInsertionInnervationFunctionTensor tympaniCartilagenous pharyngo tympanic tube, greater wing of sphenoid, its own bony canalUpper part of handle of malleusMandibular nerve (V3)Contraction pulls handle of malleus medially, tensing tympanic membrane to reduce the force of vibrations in response to loud noiseStapediusAttached to inside of pyramidal eminenceNeck of stapesBranch of facial nerveContraction, usually in response to loud noises, pulls the stapes posteriorly & prevents excessive osscillation